All of the following are signs of uterine scar dehiscence except:
1. Tachycardia
2. Fetal distress
3. Strong uterine contractions
4. Falling BP

Correct answer: 3. Strong uterine contractions

Explanation: Ans. C: Strong Uterine Contractions The signs and symptoms of uterine rupture largely depend on the timing, site, and extent of the uterine defect. Uterine rupture at the site of a previous uterine scar is typically less violent and less dramatic than a spontaneous or traumatic rupture because the scar is relatively avascular. The classic signs and symptoms of uterine rupture are as follows: fetal distress (as evidenced most often by pattern of abnormalities in fetal heart rate), diminished baseline uterine pressure, loss of uterine contractility, abdominal pain, recession of the presenting fetal part, hemorrhage, and shock.